Hot Cross Bun Sign on MRI is seen in-
1. Multisystem atrophy
2. Lewy body dementia
3. Progressive supranuclear palsy
4. Alzeihmer's disease

Correct answer: 1. Multisystem atrophy

Explanation: * HOT CROSS BUN SIGN - cross shaped hyperintensity in the center of pons * It is a classic feature of Multisystem atrophy type - C * Multisystem atrophy type - c has involvement of pontocerebellar pathway Figure: hot cross bun sign - MSA-C Figure showing Humming bird sign in Progressive supranuclear palsy. Figure showing Mickey-Mouse sign in Progressive supranuclear palsy.